Which one of the following coenzyme is associated with glycogen phosphorylase?
1. Thiamine pyrophosphate
2. Tetrahydrofolate
3. Flavin mononuleotide
4. Pyridoxal phosphate

Correct answer: 4. Pyridoxal phosphate

Explanation: Glycogen phosphorylase has a pyridoxal phosphate (PLP, derived from Vitamin B6) at each catalytic site. Pyridoxal phosphate links with basic residues and covalently forms a Schiff base. Once the Schiff base linkage is formed, holding the PLP molecule in the active site, the phosphate group on the PLP readily donates a proton to an inorganic phosphate molecule, allowing the inorganic phosphate to in turn be deprotonated by the oxygen forming the a-1,4 glycosidic linkage.